Dermatological sign of carcinoma stomach is?
1. Palmoplantar keratoderma
2. Acquired ichthyosis
3. Acanthosis Nigrans
4. Acrokeratosis paraneopiastica

Correct answer: 3. Acanthosis Nigrans

Explanation: ANSWER: (C) Acanthosis NigransREF: Fitz Patricks Dermatology 6th Edition Page 1612, Harrison's 18th ed chapter 53Indirect repeat Dermatology 2008,2003 (See table of TYPES AND CAUSES OF ACANTHOSIS NIGRICANS) 8t Surgery June 2009